All are Pharmacological methods of cervical ripening except?
1. Pge2
2. Pge1
3. Mifepristone
4. Transcervical Catheter

Correct answer: 4. Transcervical Catheter

Explanation: Pharmacological method Non pharmacological method 1. Dinoprostone gel (pge2) 1. Stripping of membrane 2. Misoprostol (pge1) 2. Mechanical dilators - Transcervical catheter and Osmotic dilators 3. Mifepristone 3.Extra-amniotic saline infusion During cervical ripening,Collagen fibril diameter and proteoglycan and glycosaminoglycan within the matrix is increased.